The earliest sign of Hyperkalemia in ECG is
1. Flat & inverted T
2. Tall T wave
3. Large P-wave
4. Prolonged Q-T interval

Correct answer: 2. Tall T wave

Explanation: (B) Tall T wave [Harrison17 - 284; Harrison18 - 357; Harrison16 - 2621 # Most serious effect of HYPERKALEMIA is cardiac toxicity, which does not correlate well with the plasma K+ concentration.> The earliest electrocardiographic changes include increased T-wave amplitude, or peaked T waves.> More severe degrees of hyperkalemia result in a prolonged PR interval and QRS duration, Progressive widening of the atrioventricular conduction delay, and loss of P waves. QRS complex and merging with the T wave produces a sine wave pattern.> The terminal event is usually ventricular fibrillation or asystole.